Compared to an unacclimatized person, one who is acclimatized to cold has:
1. Higher metabolic rate in the cold, to produce more heat
2. Lower metabolic rate in the cold, to conserve metabolic energy
3. Lower peripheral blood flow in the cold, to retain heat
4. Various combinations of the above, depending on the environment that produced acclimatization.

Correct answer: 4. Various combinations of the above, depending on the environment that produced acclimatization.

Explanation: Ans. D. Various combinations of the above, depending on the environment that produced acclimatization. Acclimatization to cold produces several different (and contrasting) sets of changes, depending on the acclimatizing environment (and, perhaps, on characteristics of the population being acclimatized).